Sigmund Freud is associated with which of the following
1. Group Psychotherapy
2. Psychoanalysis
3. Sociogram
4. Cognitive Behavior Therapy

Correct answer: 2. Psychoanalysis

Explanation: Contributor: Freud, Sigmund (1856-1939) Coined the Term: Free association, Psychoanalysis, Psychodynamics, Oedipus complex, Electra complex, Penis envy, Primal scene, Ego defence mechanisms, Repression, Psychological determinism, Pleasure principle, Reality principle Special Mention: Founder of psychoanalysis; some of the significant contributions include interpretation of dreams, theory of infantile sexuality, structural and topographical model of mind, theory of instincts, psychopathology of everyday life and stages of psychosexual development Ref: A Short Textbook of Psychiatry, Niraj Ahuja, 7th Edition, pg. no.243 Sociogram: It is graphical representation of social links that person has. It was developed by Jacob L Moreno.